All of the following features about Idiopathic Thrombocytopenia are true, Except:
1. Acute ITP is often proceded by Viral infections
2. Chronic ITP is common in females
3. Spontaneous remission is common in Chronic ITP
4. Acute ITP is more common in children

Correct answer: 3. Spontaneous remission is common in Chronic ITP

Explanation: Answer is C (Spontaneous remission is common in chronic ITP): Spontaneous remission is common in Acute Form of ITP but it is an uncommon feature Of chronic ITP Idiopathic/immune Thrombocvtopenic purpura ITP occurs in two forms, namely acute ITP and chronic ITP Acute ITP and chronic ITP differ in incidence, prognosis and therapy Features of Acute and Chronic Idiopathic Thrombocytopenic Purpura (ITP) Features Acute ITP Chronic ITP Peak age of incidence Children, 2-6 yr Adults 20-40 yr Sex predilection None 3:1 female to male Antecedent infection Common 1-3 wk before Unusual Onset of bleeding Abrupt Insidious Hemorrhagic bullae in mouth Present in severe cases Usually absent Platelet count <20,000 / pi 30,000-80,0004(1 Eosinophilia and lympocytosis Common Rare Duration 2-6 wk; rarely longer Months or years Spontaneous remission Occur in 80% of cases Uncommon